In Coronary artery disease the cholesterol level (mg/dl) recommended is:
1. Below 200
2. < 220
3. < 250
4. < 280

Correct answer: 1. Below 200

Explanation: In Coronary Artery Disease (CAD) the cholesterol level (mg/dl) recommended is below 200. Desirable High risk of Heart disease Total cholesterol <200 > 240 HDL > 60 <40 LDL <100 >200 TG <150